Reinke's edema is seen in
1. Edges of vocal cords
2. Vestibular folds
3. Between true and false vocal cords
4. pyriform fossa

Correct answer: 1. Edges of vocal cords

Explanation: POLYPOID DEGENERATION OF VOCAL CORDS (REINKE'S OEDEMA) It is bilateral symmetrical swelling of the whole of membranous part of the vocal cords, most often seen in middle-aged men and women. This is due to oedema of the subepithelial space (Reinke's space) of the vocal cords. Chronic irritation of vocal cords due to misuse of voice, heavy smoking, chronic sinusitis and laryngopharyngeal reflex are the probable aetiological factors. It can also occur in myxoedema. CLINICAL FEATURES :- Hoarseness is the common symptom. Patient uses false cords for voice production and this gives him a low-pitched and rough voice. On indirect laryngoscopy, vocal cords appear as fusiform swellings with pale translucent look. Ventricular bands may appear hyperaemic and hypertrophic and may hide the view of the true cords. TREATMENT :- 1. Decortication of the vocal cords, i.e. removal of strip of epithelium, is done first on one side and 3-4 weeks later on the other. 2. Voice rest. 3. Speech therapy for proper voice production. Ref:- Dhingra; pg num:-292